A 22 yr old primigravida with sure of dates visits ANC OPD with 20 wks POG On further obstetric examination uterine height reveals 16wks size Obstetric USG shows reduced liquor what is the probable cause
1. Renal agenesis
2. Fetal anemia
3. Baten syndrome
4. Liddle Syndrome

Correct answer: 1. Renal agenesis

Explanation: uterus height <POG A= wrong dates B=oligohydrammios C=IUGR D=Transverse lie REF : DUTTA 9TH ED